All the following structures pass through Sinus of Morgagni except
1. Auditory tube
2. Ascending Palatine artery
3. Tensor Veli Palatini
4. Palatine branch of Ascending Pharyngeal artery

Correct answer: 3. Tensor Veli Palatini

Explanation: The large gap between the upper concave border of the superior constrictor and the base of the skull is semilunar and is known as the sinus of Morgagni. It is closed by the upper strong part of the pharyngobasilar fascia.The structures passing through this gap are: (a) The auditory tube; (b) the levator veli palatini muscle; and (c) the ascending palatine arteryReference: Dutta Head and Neck; 5th edition; Page no: 295